The triad of bradycardia, hypertension and irregular respiration is called as
1. Cushings reflex
2. Bezold Jarisch reflex
3. Bainbridge reflex
4. Hering-Breuer reflex

Correct answer: 1. Cushings reflex

Explanation: Cushing's reflex: Rise in blood pressure decreases heart rate arterial baroreceptor. Hence there is bradycardia, hypertension, and irregular respiration.Bainbridge reflex: Sudden rise in arterial pressure after rapid infusion of saline or blood produces tachycardia if the initial heart rate was low. The reflex helps to prevent damming of blood in the veins, atria and pulmonary circulation.Bezold-Jarisch reflex: Rapid breathing, hypotension, and bradycardia which occur following injection of certain drugs like veratridine or nicotine into coronary arteries supplying left ventricle.Hering-Breuer reflex: produced on stimulation of irritant receptors in the bronchial epithelium due to distortion of the epithelium caused by large deflationary of the lungs. This reflex responsible for sighs or yawning.Ref: Medical physiology for UG students, Indu Khurana, pg 258,259,341